Which of the following is not a cause of chloride responsive metabolic alkalosis?
1. Vomiting
2. Cystic fibrosis
3. Post hypercapnia syndrome
4. Congenital adrenal hyperplasia

Correct answer: 4. Congenital adrenal hyperplasia

Explanation: Congenital adrenal hyperplasia: causes chloride resistant metabolic alkalosis